Events occurring in the past one week is an example of
1. Recent memory
2. Remote memory
3. Working memory
4. Delayed memory

Correct answer: 1. Recent memory

Explanation: recent memory is the ability to remember information from days hours minutes ago ref:Ganong's review of medical physiology 23rd edition Page no; 290